A child presents with palpable abdominal mass, hypertension sweating and diarrhea, What is the most probable diagnosis?
1. Neuroblastoma
2. Nephroblastoma
3. Polycystic Kidney disease
4. None of the above

Correct answer: 1. Neuroblastoma

Explanation: Neuroblastoma :
They produce Catecholamines that cause hypertension increased sweating, release of vasoactive intestinal peptide causing secretory diarrhea.